Which of the following intravenous induction agent is the most suitable for day care surgery?
1. Morphine
2. Ketamine
3. Propofol
4. Diazepam

Correct answer: 3. Propofol

Explanation: C i.e. Propofol